Tretment of vernal keratoconjunctivitis includes all except-
1. Steroids
2. Chromaglycate
3. Olopatadine
4. Antibiotics

Correct answer: 4. Antibiotics

Explanation: TREATMENT A. Local therapy B. Systemic therapy 1. Topical steroids 1. Oral antihistaminics 2. Mast cell stabilizers 2. Oral steroids 3. Topical antihistaminics 4. Acetyl cysteine (0.5%) 5. Topical cyclosporine (1%) ref: A K KHURANA OPHTALMOLOGY,E4, Page-76